The following anticholinergic drug has comparitively specific action on gastric secretion & is useful in peptic ulcer -
1. Atropine
2. Pirenzipine
3. Oxyphenonium bromide
4. Dicyclomine

Correct answer: 2. Pirenzipine

Explanation: Ans. is 'b' i.e., Pirenzepine USES OFANTICHOLINERGIC DRUGS 1. Eye o Homatropine, cyclopentolate and tropicamide are used as mydriatics (see above explanation) 2. Preanaesthetic medications Due to irritation, some anaesthetic agent produce reflex bronchospasm and increased secretions. o All these effects are due to muscarinic cholinergic receptors. o Animuscarinic drugs (glycopyrrolate) can be used to counteract these effects. 3. Respiratory tract In respiratory tract, bronchoconstriction and increased secretions occur due to stimulation of M3cholinergic receptors. Selective M, antagonists which act specifically on respiratory system, e.g., ipratropion and tiotropium, can be used in COPD and bronchial asthma. 4. UT o Gastric acid secretion is due to M1 receptors. Selective M, blockers (Pirenzepine, Telenzepine) can be used in peptic ulcer. o Hyoscine, Dicyclomine and other antispasmodic anticholinergic can be used in intestinal colic --) they provide relief by A, motor activity of gut. 5. Urinary system M3receptors in urinary bladder increases micturation. Selective M3 antagonists, which act especifically on urinary bladder (oxybutynine, Darifenaci, Solifenacin, Tolterodine) can be used in urinary incontinence. o Vasoselective antispasmodic oxybutynin, Tolterodine Flavoxate can be used in renal colic. 6. Miscellaenous o Botulinum toxin type A is used for strabismus, cervical dystonia, blepherospasm, and glabellar lines. o Botulinum toxin type B is used for cervical dystonia.